Injury to the male urethra below the perineal membrane causes urine to accumulate in -
1. Superficial perineal pouch
2. Deep perineal pouch
3. Space of retzius
4. Pouch of douglas

Correct answer: 1. Superficial perineal pouch

Explanation: Injury to the male urethra below the perineal membrane causes urine to accumulate in superficial perineal pouch.